Dehydration in ketoacidosis is best treated with-
1. Isolyte P
2. Isolyte M.
3. Normal saline
4. Molar 1\/6 lactate

Correct answer: 3. Normal saline

Explanation: Most current guidelines favour correction of the extracellular fluid deficit (dehydration) with isotonic saline (0.9 % sodium chloride) - 2-3 L of 0.9% saline over first 1-3 h (10-20 mL/kg per hour). Subsequently, when hemodynamic stability and adequate urine output are achieved (plasma sodium more than 155mmol/L), IV fluids should be switched to 0.45% saline depending on the calculated volume deficit (250-500 mL/h). Reference : page 2419 Harrison's Principles of Internal Medicine 19th edition